True hermaphroditism karyotype
1. 45 X0 STREAKED GONADS
2. 46 XX OVO TESTIS
3. 47 XY+9
4. 47 XX

Correct answer: 2. 46 XX OVO TESTIS

Explanation: * True hermaphrodite or ovotesticular disorder of sexual differentiation (OVO-DSD) is one of the rarest variety of all inter sex anomalies. * In about 90% of cases, patients have 46 XX karyotype. * Rarely, 46 XY/46 XX mosaicism may occur REF : SHAW TEXT BOOK OF GYNECOLOGY